Strongest interactions among the following -
1. Covalent
2. Hydrogen
3. Electrostatic
4. Van der Waals

Correct answer: 1. Covalent

Explanation: Ans. is 'a' i.e., Covalent o Strongest bond Covalento Weakest bond - Van der walls forcesMoleucular interactionso There are two types of interactions between molecules that stabilize molecular structuresCovalent bonds, e.g. peptide bonds and disulphide bonds.ii) Non-covalent bondsMolecular interactionNon-covalent bondsCovalent bondsy Electrostatic interactions (salt bridges or ionic bonds)y Hydrogen bondsy Hydrophobic interactionsy Van Der Waal forces Strength of various interactions (in decreasing order)Covalent (strongest)Q> Electrostatic Q (ionic or salt linkage) > hydrogen> hydrophobic> Van der vvaal's (weakest)Q